All are seronegative (spondyloepiphyseal) arthritis with ocular manifestations, EXCEPT:
1. Ankylospondilitis
2. Ritter's disease
3. Rheumatoid arthritis
4. Psoriatic arthritis

Correct answer: 3. Rheumatoid arthritis

Explanation: Answer is C (Rheumatoid arthritis): Rheumatoid arthritis is not a seronegative spondyloarthropathy. Seronegative spondyloarthropathies Ankylosing spondylitis Reactive Arthritis (and Reiter's syndrome) Psoriatic Arthritis and spondylitis Enteropathies Arthritis (Arthropathy of inflammatory bowel disease) Undifferentiated spondylorathropathy